Squamous cell carcinoma on tongue most common site is
1. Apex
2. Base
3. Lateral borders
4. Dorsum

Correct answer: 3. Lateral borders